In dhatura poisoning 9 'Ds' include all except ?
1. Diarrhea
2. Dysphagia
3. Dilated pupil
4. Drowsiners

Correct answer: 1. Diarrhea

Explanation: Ans. is 'a' i.e., Diarrhea '9-D' manifestations of Dhatura (anticholinergic) poisoning Dry hot skin i.e. 'Hot as a hare'. Dialation of cutaneous blood vessels 1/t facial i.e. 'Red as a beet'. Dialation of pupils with loss of accomodation and unresponsiveness to light i.e. 'Blind as a bat'. Dryness of mouth and throat i.e. 'Dry as a bone'. Difficulty in talking. Dysphagia (difficulty in swallowing) Drunken gait Drowsiness Delirium i.e. 'Mad as wet hen' So symptoms are described as 'Dry as a bone, Red as a beet, Hot as hare, Blind as a bat and Mad as a wet hen'.